Which of the following is most common fixative used in electron microscope
1. Glutaraldehyde
2. Formalin
3. Picric acid
4. Absolute alcohol

Correct answer: 1. Glutaraldehyde

Explanation: Ref,Ackerman 9/e p27 Commenest fixative used for light microscope examination 10%buffered neutral formalin Commenest fixative used for electron microscope examination.Glutaraldehyde